Branches of cervical part of facial artery are all except
1. Ascending palatine.
2. Ascending  pharyngeal
3. Tonsillar.
4. Submental.

Correct answer: 2. Ascending  pharyngeal

Explanation: Branches Of facial artery
 i) Cervical part
• Ascending palatine to root of tongue and the tonsil.
• Tonsillar to tonsil.
 • Submental to submental triangle and sublingual salivary gland.
• Glandular to submandibular salivary gland and submandibular lymph nodes
ii) Facial part
• Superior labial to upper lip
• Inferior labial to lower lip
• Lateral nasal to dorsum of nose